Large Intracytoplasmic glycogen storage is seen in which of the following malignancy -
1. Osteosarcoma
2. Mesenchymal chondrosarcoma
3. Ewing's sarcoma
4. Leiomyosarcoma

Correct answer: 3. Ewing's sarcoma